Whooping cough is caused by -
1. B. pertussis
2. H. influenzae
3. Pneumococcus
4. Meningococcus

Correct answer: 1. B. pertussis